True statement about unconjugated hyperbilirubinemia
1. 85% of the total should be indirect
2. Seen in hemolytic anemia
3. Seen in is hemoglobin destruction (T bilirubin production)
4. All

Correct answer: 4. All

Explanation: Answer is A, B, C (85% of the total should be indirect, Hemolytic anemia, Seen in | hemoglobin destruction (| bilirubin production) Unconjugated Hyperbilirubinemia is associated with > 85% indirect bilrubin or less than 15% of direct bilirubin. Hemolytic disorders and increased hemoglobin destruction cause unconjugated or indirect hyperbilirubinemia. Biliary atresia and neonatal hepatitis lead to conjugated hyperbilirubinemia.